All are morbidity indicators execpt -
1. Period of stay in hospital
2. Doctor : population ratio
3. Attendance at out patient department
4. Notification rates

Correct answer: 2. Doctor : population ratio

Explanation: Ans. is `b' i.e., Doctor : population ratio Health change cannot be measured in specified unit. o So, different indicators have been defined which reflect health change in a community. o These indicators are called health indicators e.g. mortality indicators, morbidity indicators, Disability rates.